Sufentanil is a/an -
1. Analgesic
2. Antibiotic
3. Anticholinergc
4. Newer antihistaminic

Correct answer: 1. Analgesic

Explanation: Ans. is 'a' i.e., Analgesic Opioid anaestheticso Sufentanil is a short acting opioid analgesic, which can be used in anaesthesia,o Other opioids used in anaesthesia are fentanyl, alfentanil and remifentanil.o These drugs are potent opioid analgesics and are used i.v. at the begning of painful surgical procedure.o Fentanyl is frequently used with droperidal as neurolept analgesia, when N2O is also added it is called neurolept anaesthesia.o Alfantanyl is opioid of choice for day care surgery.o Alfantanyl is used with propofol for total intravenous anaesthesia (TIVA).o Sufentanil is the most potent opioid. -- Miller 6th/e - 401o Remifentanil is shortest acting opioid due to its metabolism by plasma esterase. -- Miller 6th/e - 401o Use of fentanyl, sufentanil and alfentanii during induction anaesthesia can prevent increase in IOT.o Tone of chest muscles may increase with rapid fentanyl injection.